Wickham's striae are seen in:
1. Lichen nitidus
2. Lichenoid eruption
3. Lichen striatus
4. Lichen planus

Correct answer: 4. Lichen planus

Explanation: Lichen planus is a self limiting condition in which flat topped violaceous papules are seen on the flexor aspect of the body. Wickham's striae are white streaks seen on the lesions especially when viewed with magnifying lens. Ref: Illustrated Synopsis of Dermatology and STD's By Neena Khanna, Page 55